NOT a feature of Tetralogy of Fallot among the following
1. Cyanosis
2. Ejection Systolic Murmur
3. Pan Systolic murmur
4. Single S2

Correct answer: 3. Pan Systolic murmur

Explanation: Since VSD in Tetralogy of Fallot is large and non- restrictive VSD murmur in not heard. So no pan Systolic murmur is heard.